Following type of turret (golden and silver) are used for?
1. Forming rectangular arch wire
2. Forming round arch wire
3. Forming square arch wire
4. All of the above

Correct answer: 1. Forming rectangular arch wire

Explanation: TURRET – GOLD
It is used for forming rectangular arch wires with torque adjustments: 0o – 7o – 10o – 13o – 16o.
It is used for use only with wire = .018”
TURRET – SILVER
It is used for forming rectangular arch wires with torque adjustments: 0o – 7o – 10o – 13o – 16o.
It is used for use only with wire = .022”
NOTE: GREEN TURRET is used for forming round arch wire.